Not a branch of the ophthalmic artery -
1. Dorsal nasal artery
2. Superficial temporal artery
3. Supraorbital artery
4. Supratrochlear artery

Correct answer: 2. Superficial temporal artery

Explanation: Branches of ophthalmic artery are :-


Central artery of retina
Lacrimal artery : It gives following branches :-

 i. Lateral palpebral branch
ii. Zygomaticotemporal
iii. Zygomaticofacial 
iv. Recurrent meningeal
3. Meningeal
4. Ciliary
5. Anterior ethmoidal
6. Posterior ethmoidal
7. Medial palpebral
8. Supratrochlear
9. Supraorbital
10. Dorsal nasal
11. Muscular